Which of the following is the most common renal vascular anomaly -
1. Supernumerary renal arteries
2. Supernumerary renal veins
3. Double renal arterires
4. Double renal veins

Correct answer: 1. Supernumerary renal arteries